Best range of UV light used for treatment of skin diseases
1. 100 – 200 nm
2. 200 – 400 nm
3. 400 – 700 nm
4. > 700 nm

Correct answer: 2. 200 – 400 nm

Explanation: UV light most commonly used in dermatology are UVB (290 - 320 mn), narrow band UVB (311 nm), and UVAi (360 - 380 nm).